Soap Bubble appearance in X-ray is seen in
1. Multiple cystic Kidney
2. Neuroblastoma
3. Cystic lymphagiectasis
4. Meconium ileus

Correct answer: 4. Meconium ileus

Explanation: D i.e. Meconium ileus